Mainly included in child survival index –
1. MMR
2. IMR
3. Mortality between 1 to 4 yr. age
4. Under 5 mortality

Correct answer: 4. Under 5 mortality

Explanation: The basic measure for infant and child survival is under-5 mortality (No. of deaths under the age of 5 years per thousand live births) The index calculated as :